Most common initiating factor in acute appendicitis is:
1. Luminal obstruction
2. Bacterial infection
3. Lymphoid hyperplasia
4. Perforation

Correct answer: 1. Luminal obstruction

Explanation: Ans. (a) Luminal obstructionRef: Sabiston 19th edition, Pages 1279-1282* Most common cause of acute appendicitis -- Obstruction* Most common cause of Obstruction -- Appendicolith (Fecolith) -- 15% can be seen on plain X-ray itself* Others: Lymphoid hyperplasia, vegetable matters, seeds, parasites, neoplasm.